All are true of Reduced os molarity ORS except-
1. Sodium 75 mmol/litre
2. Potassium 20 mmol/litre
3. Chloride 45 mmol/litre
4. Osmolarity 245 mmol/litre

Correct answer: 3. Chloride 45 mmol/litre

Explanation: Ans. is 'c' i.e.. Chloride 45 mmol/litre o Because of the improved effectiveness of reduced osmolarity ORS solution, WHO and UNICEF are recommending that countries manufacture and use the following formulation in place of the previously recommended ORS solution.Composition of reduced osmolarity ORSReduced osmolarity' ORSgrams/litreSodium chlorideGlucose, anhydrousPotassium chlorideTrisodium citrate, dihydrateTotal weight2.613.51.52.920.5Reduced osmolarity ORSmmol/litreSodiumChlorideGlucose, anhydrousPotassiumCitrateTotal osmolarity7565752010245